True statement about neurocysticercosis is -
1. Seizures due to neurocysticercosis are resistant to anti epileptic drugs
2. Albendazole is superior to praziquantel in the T/T of above condition
3. Common presentation is 6th CN palsy and hemiparesis
4. Steroids are used in the mangament of hydrocephalus

Correct answer: 2. Albendazole is superior to praziquantel in the T/T of above condition